Which of the following is the most difficult pulpal or periapical pathosis to diagnose?
1. Necrotic pulp
2. Chronic pulpitis
3. Internal resorption
4. Acute alveolar abscess

Correct answer: 2. Chronic pulpitis